Sellick manouever is used to prevent:
1. Alveolar collapse
2. Hypertension
3. Aspiration of Gastric content
4. Bradycardia

Correct answer: 3. Aspiration of Gastric content

Explanation: C i.e. Aspiration of Gastric content